Water hammer pulse seen in
1. >Aortic stenosis
2. >Aortic regurgitation
3. >Aortic stenosis and Aortic regurgitation
4. >Mitral regurgitation

Correct answer: 2. >Aortic regurgitation

Explanation: Aortic regurgitation Water hammer pulse It is a large bounding pulse, associated with increased stroke volume of the left ventricle and decrease in the peripheral resistance, leading to a wide pulse pressure. The pulse strikes the palpating finger with a rapid, forcefid jerk and quickly disappears. It is best felt in the radial artery with the patients arm elevated. It is seen in Aortic regurgitation. Pathophysiology of water hammer pulse In Aortic regurgitation the stroke volume is high, so the systolic pressure is high and this is responsible for sharp rise in the pulse. The stroke volume is high because the left ventricle gets blood from two sources during the diastole i.e. blood leaking from the Aorta and the blood it receives from left atria. The collapse occurs because Diastolic leak of blood into the left ventricle from the Aorta Rapid run off to the periphery as a result of low systemic vascular resistance (the increased cardiac output stimulates the baroreceptors in the aortic arch and the result is reflex vasodilatation of the peripheral vessels into which the blood flows rapidly). Wiry are arms elevated in the examination ? When the arm is raised there is fall of blood column resulting in vasodilation and thus helps to reduce the diastolic pressure more, so the pulse pressure widens. It may be so that the artery palpated becomes more in the line of Aorta after elevation of the arm and thus allows the direct systolic ejection and diastolic backward flow.